In a A patient sustained trauma to left side of chest and abdomen. Fluid in the peritoneum & sign of hypotension was found on physical examination. Most probable diagnosis is?
1. Splenic injury
2. Diaphragmatic injury
3. Rib fracture
4. Renal injury

Correct answer: 1. Splenic injury

Explanation: Answer- A. Splenic injuryTachycardia and hypotension after blunt trauma to left abdomen should alert the clinician to the potential for splenic injury